Signs positive in early pregnancy are :
1. Hegar's sign
2. Palmer's sign
3. Goodell's sign and Osiander's sign both
4. All

Correct answer: 4. All

Explanation: All